On the mammogram, all of the following are the features of a malignant tumor except:
1. Speculation
2. Microcalcification
3. Macrocalcification
4. Irregular mass

Correct answer: 3. Macrocalcification